Keratic precipitates are on which layer of cornea -
1. Epithelium
2. Endothelium
3. Stroma
4. Bowman's membrane

Correct answer: 2. Endothelium

Explanation: KPs are proteinaceous cellular deposits occuring at the back of cornea (corneal endothelial deposits).